Rat is involved in:
1. Measles
2. Tetanus
3. Mumps
4. Leptospirosis

Correct answer: 4. Leptospirosis

Explanation: Leptospirosis